Which of the following conditions is characterized by cafe-au-lait spots, non-encapsulation and potential for malignant transformation:
1. Neurilemrnoma
2. Neurofibroma
3. Traumatic Neuroma
4. Solitary plasmocytoma

Correct answer: 2. Neurofibroma